All are true regarding Hodgkin's lymphoma,except -
1. CNS is the commonest site of involvement
2. Characteristic cell is a Reed Sternberg cell
3. Mediastinal involvement is common in nodularsclerosis type.
4. Eosinophils, plasma cells and neutrophils increase

Correct answer: 1. CNS is the commonest site of involvement